Contraindications of laryngeal mask airway are all except
1. Pregnancy
2. Hiatus hernia
3. Oropharyngeal tumor
4. Difficult airway management

Correct answer: 4. Difficult airway management

Explanation: LMA is used when difficult intubation is anticipated.